Oral medication used in the treatment of scabies.
1. Albendazole
2. Metronidazole
3. Ketoconazole
4. Ivermectin

Correct answer: 4. Ivermectin

Explanation: Gama benzene hexachloride 1%lindane 12 -24 hrs a day/2hrs in children .used in caution in infants and children. Permethrin 5%cream -8-12 hrs at night. It act on the nerve cell membrane and disrupt sodium channel current . Used to treat scabies in pregnancy,lctation and infants more than 2 months of age. Benzoyl benzoate 25%emulsion left on body for 48hrs or 3 consecutive nights Crotamiton 10%lotion every night for 2days Malathion 0.5% liquid 6%precipitated sulphur daily night application for 3 days Oral Ivermectin 200ug/kg two doses at 10day interval GABA agonist and chloride channel opener. IADVL textbook of dermatology page 429